ABO antigens is not found in:
1. CSF
2. Semen
3. Sweat
4. Saliva

Correct answer: 1. CSF

Explanation: Ans. CSF